Which of the following is the most common central nervous system parasitic infection -
1. Echinococcosis
2. Sparganosis
3. Paragonimiasis
4. Neurocysticercosis

Correct answer: 4. Neurocysticercosis

Explanation: Neurocysticercosis (NCC) is the most common form and accounts for 60–90% cases of Cysticercosis.
NCC is considered as the most common parasitic CNS infection of man and most common cause of adult onset epilepsy throughout the world.